Cryptococcal meningitis is common in -
1. Renal transplant recipient
2. Agammaglobulinemia
3. Neutropenia
4. IgA deficiency

Correct answer: 1. Renal transplant recipient

Explanation: Ans. is 'a' i.e., Renal transplant recipient Predisposing factors for crvptococcus AIDS (most common) -4 when CD, T cells <200/ L * Sarcoidosis Glucocorticoids therapy * Lymphoma Solid organ transplantation (Renal transplant) * Idiopathic CD4 + lymphocytopenia